A 27-year-old sexually active male develops a vesiculobullous lesion on the glans soon after taking tablet paracetamol for fever. The lesion healed with hyperpigmentation. The most likely diagnosis is:
1. Behcet's syndrome
2. Herpes genitalis
3. Fixed drug eruption
4. Pemphigus vulgaris

Correct answer: 3. Fixed drug eruption

Explanation: An adverse cutaneous reaction to an ingested drug with characteristic clinical features is fixed drug eruption. Presentation with a solitary lesion in the genital skin that heals with hyperpigmentation. Soon after ingestion of paracetamol, one of the most commonly implicated agents for FDE, leads to the diagnosis of FDE. Ref: Anthony Du Vivier, Phillip H. McKee, Chapter 17, "Reactive Disorder of The Skin and Drug Eruptions", In the book, "Atlas of Clinical Dermatology", Elsivier Publication, 2002, 3rd Edition, Spain, Page 367